Which of the following is false about pendred syndrome
1. Thyroidectomy is the treatment
2. Due to mutation of PENDRIN gene
3. Sensonureal deafness
4. Goitre

Correct answer: 1. Thyroidectomy is the treatment

Explanation: Thyroid supplements is the treatment.